Although tetracycline is a broad-spectrum antibiotic but resistance to the drug developed by the following mechanism:
1. By inactivating enzymes.
2. An efflux pump mechanism.
3. Alteration of the binding site.
4. Absence of a metabolic pathway.

Correct answer: 2. An efflux pump mechanism.

Explanation: Tetracyclines are broad-spectrum bacteriostatic drugs. Development of resistance to  tetracyclines are mainly due to the development of efflux pumps.